Not a marker for muscle tumor ?
1. Desmin
2. Actin
3. Neurofilament
4. Intermediate filament

Correct answer: 3. Neurofilament

Explanation: Ans. is 'c' i.e., Neurofilament Markers for smooth muscles tumor are : (i) Muscle specific actin, (ii) Intermediate filament, and (iii) Desmin. Neurofilament is a marker of neural tumors. Immunohistochemistry Immunohistochemistry is a method of analyzing and identifying cell types based on binding of antibodies to specific components of the cell. Antibody, which is specific for an antigen of a particular tissue, is labled with a probe (coloured marker) and is run on the tissue specimen obtained from a biopsy. If the tissue has that particular antigen, then antibody will get attached to the tissue and the labled antibody can be seen under a microscope. Intermediate filaments of cytoskeleton are the major antigens used in immunohistochemistry. There are five major types of intermediate filaments - Cytokeratin Carcinoma, mesothelioma, Non-seminoma GCT Vimentin Sarcoma (Tumor of mesenchymal), melanoma, seminomas, lymphoma Neurofilament Neural tumors Glial fibrillary acid Non-neural brain tissue (astroglial origin-3 Astrocytoma, ependymomas, proteins (GFAP) medulloblastoma, oligodendroglioma) Desmin Leiomyoma (smooth muscle) & Rhabdomyoma (skeletal ms).